Effect of glucocorticoid administration to the pregnant lady with preterm labor is:
1. Increased chances of Intraventricular hemorrhage
2. Increased incidence of neonatal mortality
3. Reduced Surfactant production
4. Helps fetal lung maturity

Correct answer: 4. Helps fetal lung maturity

Explanation: Ans. D: Helps fetal lung maturity Maternal administration of glucocorticoids is advocated where the pregnancy is less than 34 weeks This helps in fetal lung maturation so that the incidence of respiratory distress syndrome, intraventricular hemorrhage and NEC are minimised